In multiple myeloma following are seen except -
1. Anion gap raised
2. Lytic bone lesion
3. Polyarticular pains
4. M spike present with polyarticulopathy

Correct answer: 1. Anion gap raised